Recommended step in salicylate toxicity is:
1. Chleating agents
2. Atropine
3. Alkaline diuresis
4. Observation

Correct answer: 3. Alkaline diuresis

Explanation: Ans. C: Alkaline Diuresis Salicylate poisoning can cause vomiting, thmitus, confusion, hyperthermia, respiratory alkalosis, metabolic acidosis, and multiple organ failure. Diagnosis is clinical, supplemented by measurement of the anion gap, ABGs, and serum salicylate levels. Treatment is with activated charcoal and alkaline diuresis or hemodialysis.